DOC for ventricular arrhythmias due to digitalis toxicity is:
1. Lignocaine
2. Quinidine
3. Amiodarone
4. Verapamil

Correct answer: 1. Lignocaine

Explanation: Ventricular arrhythmias due to digitalis toxicity Lidocaine i.v. repeated as required is the drug of choice It suppresses the excessive automaticity but does not accentuate A-V block Quinidine, Procainamide, and propafenone are contraindicated Note: Lignocaine is DOC but 2nd alternative option is Phenytoin for digitalis-induced ventricular arrhythmias